Keratin is a
1. Globular protein
2. Cylindrical protein
3. Fibrous protein
4. None of the above

Correct answer: 3. Fibrous protein

Explanation: Fibrous proteins: When the axial ratio of length: width of a protein molecule is more than 10, it is called a fibrous protein. Examples: a-keratin from hair, collagen.Ref: Textbook of medical biochemistry, MN Chatterji, 8th edition, page no: 83